One virus particle prevents multiplication of second virus. This phenomena is?
1. Viral interference
2. Mutation
3. Supervission
4. Permutation

Correct answer: 1. Viral interference

Explanation: Growth of first will inhibit infection by seconds Vitus by interference REF:MICROBIOLOGY ANANTHA NARAYANAN NINTH EDITION PAGE.436